Vascular complications of acute pancreatitis include the following except
1. Splenic vein thrombosis
2. Splenic artery aneurysm
3. Gastroduodenal artery aneurysm
4. Middle colic artery thrombosis

Correct answer: 4. Middle colic artery thrombosis

Explanation: Portal/Splenic vein thrombosis,pseudoaneurysm are complications Ref - Srb's manual of surgery 5e p683